The true vocal cord is lined by what epithelium?
1. Stratified squamous
2. Cuboid
3. Stratified columnar
4. Stratified columnar ciliated

Correct answer: 1. Stratified squamous

Explanation: Surface is liable for wear and tear due to vibrations produced during voice production hence protected by stratified squamous non keratinized epithelium. Reference: Chaurasia; 6th edition